Which one of the following preferentially activates plasminogen bound to fibrin and avoids the systemic lytic state :
1. Streptokinase
2. Aminocaproic acid
3. Tranexamic acid
4. Alteplase

Correct answer: 4. Alteplase